Digitalis acts in CHF by:
1. Na+ K+ ATPase inhibition
2. Na+ K+ ATPase stimulation
3. Blockade of calcium channels
4. Increasing the refractory period of AV node

Correct answer: 1. Na+ K+ ATPase inhibition